All are features of necrotising fasciitis except
1. Dispropoional pain
2. Erythema beyond oedema
3. Dishwater pus
4. Crepitus

Correct answer: 2. Erythema beyond oedema

Explanation: Signs and symptoms of necrotising infections Unusual pain Oedema beyond the area of erythema Crepitus Skin blistering Fever (often absent) Greyish drainage ('dishwater pus') Pink/orange skin staining Focal skin gangrene (late sign) Shock, coagulopathy and multiorgan failure Bailey and Love 27e pg: 30